What is net reproduction rate?
1. No. of female children a newborn girl has in her life time taking into account mortality
2. No. of female children a newborn girl has in her life time
3. No. of male children a newborn girl has in her life time
4. No. of children a newborn girl has in her left time

Correct answer: 1. No. of female children a newborn girl has in her life time taking into account mortality